True about endotracheal intubation (during the process) is all except:
1. Hypertension & tachycardia
2. Raised IOT
3. Raised ICT
4. Increased esophageal peristalsis

Correct answer: 4. Increased esophageal peristalsis

Explanation: D i.e. Increased esophageal peristalsis